In which of the following locations would you least expect to find significant atherosclerotic lesions in a patient with risky factors of smoking, hypertension, diabetes mellitus, and serum cholesterol level of 280 mg/dl -
1. Left main coronary artery
2. Aortic bifurcation
3. Circle of Willis
4. Pulmonary artery trunk

Correct answer: 4. Pulmonary artery trunk